Lactating mother OCP of choice -
1. Progestin only pil
2. Combined OCP
3. Estrogen only pill
4. None

Correct answer: 1. Progestin only pil

Explanation: Ans. is 'a' i.e., Progestin only pill "No adverse effects on lactation & hence can be suitably prescribed in lactating women and as such it is often called Lactation pill".